Increased level of lipoprotein (a)predisposes to:
1. Liver cirrhosis
2. Atherosclerosis
3. Nephritic syndrome
4. Pancreatitis

Correct answer: 2. Atherosclerosis

Explanation: Ans. B. Atherosclerosis(Ref: Vasudevan and Sreekumari 7/e page 179)Lp (a)Almost similar to LDL.Attached to B100 by disulphide bond.Strongly associated with atherosclerosis and Myocardial infarction.Significant homology with plasminogen.It interferes with activation of plasminogen to plasmin.Hence fibrin clot is no lysed.Susceptible to Intravascular thrombosis.LpxCholesterol is excreted as bile acids in the bile.In cholestasis, cholesterol combines with phospholipid and form lipoprotein X.Hence it is an index of cholestasis.